Absolute indication for surgery in hyperparathyroidism is
1. Serum calcium < 2.85mmol/lit
2. Increased bone density
3. Urinary tract calculi
4. Patient more than 50 years of age

Correct answer: 3. Urinary tract calculi